Call-exner bodies are seen in:
1. Theca cell tumour
2. Yolk sac tumour
3. Granulosa cell tumour
4. Fibroma of ovary

Correct answer: 3. Granulosa cell tumour

Explanation: Ans. C: Granulosa cell tumour